All the following are mitochondrial disorders EXCEPT :
1. MELAS
2. Kearns Sayre syndrome
3. NARP syndrome
4. Incontinentia pigmenti

Correct answer: 4. Incontinentia pigmenti

Explanation: Mitochondrial DNA disorders MELAS- Mitochondrial Encephalopathy, Lactic Acidosis and Stroke-like episodes Leigh syndrome Leber hereditary optic neuropathy Kearns Sayre syndrome NARP syndrome - Neuropathy, Ataxia & Retinitis Pigmentosa MERRF - Myoclonic epilepsy with ragged-red fibers Whereas Incontinentia pigmenti (Bloch-Sulzberger syndrome) X-linked genetic disease Skin, hair, teeth & CNS manifestations